The concept of Social medicine was first introduced by-
1. Neumann and Virchow
2. Robert Grotjahn
3. John Ryle
4. Rene sand

Correct answer: 1. Neumann and Virchow

Explanation: Ans. is 'a' i.e., Neumann and virchow The seeds that medicine is a social science were sown late in the 19th century by pioneers such as Neumann and Virchow.